Vaccine which requires most stringent condition for storage:
1. DPT
2. OPV
3. BCG
4. TT

Correct answer: 2. OPV

Explanation: Ans: bRef: Park, 17th ed, p. 93 & 18th ed, p. 99